Which of the following skeletal muscles is relaxed first by tubocurarine?
1. Respiratory
2. Fingers
3. Limbs
4. Head and neck

Correct answer: 2. Fingers

Explanation: Small muscles of the eyes and fingers are the first to be affected,followed by limbs , neck and trunk. Later intercostal muscles and finally diaphragm. From padmaja 4th edition Page no 84